Gallow's traction is used in a child with a fracture. Which of the following fracture is treated by Gallow's traction?
1. Neck of femur
2. Shaft of femur
3. Shaft of tibia
4. Tibial plafond

Correct answer: 2. Shaft of femur

Explanation: Gallow's traction: It is used for the fracture of shaft of the femur in children from birth to 2 years. This traction continued till sufficient callus forms (3-6 weeks). In this traction, the weight of the body provides counter traction and the fracture is reduced. Ref: Essential Orthopaedics by Maheshwari, 3rd edition, Page 122.